Oral treatment of choice for scabies is?
1. Albendazole
2. Itraconazole
3. Sulphur
4. Ivermactin

Correct answer: 4. Ivermactin

Explanation: Ans. is 'd' i.e., Ivermectin * Ivermectin is the only oral drug, available for scabies treatment.* Topical Permathrin (5%) is the drug of choice for scabies.Medicines used in the treatment of scabiesA. Topical* Permathrin (5%) - DOC* Gamma benzene hexachloride (BHC 1%) - not safe in pregnancy and children less than 2 years of age.* Benzyl benzoate (25%)* Crotamiton (10%)* Malathion (0-5%)B. Oral* Ivermactin (0-2 mg/kg)